Breast Ca is not associated -a) BRCA 1 & BRCA 2b) Apocrine metaplasiac) Atypical ductal hyperplasiad) Fibroadenomae) Moderate hyperplasia
1. acde
2. bd
3. cde
4. ace

Correct answer: 2. bd

Explanation: Apocrine tnetaplasia and fibroadenoma (without atypical features) do not increase the risk of breast cancer.


Atypical epithelial hyperplasia moderately increases the risk and moderate to florid epithelial hyperplasia slightly increases the risk for breast carcinoma.
Mutations in BRCA1 and BRCA2 are associated with breast cancer.